Dying declaration comes under the following IPC section:
1. Section 33 IEA
2. Section 32 IEA
3. Section 60 IEA
4. 291 CrPC

Correct answer: 2. Section 32 IEA

Explanation: Dying declaration: It is written or oral statement of a person who is dying as a result of some unlawful act relating to the material facts of cause of his death or bearing on the circumstances (Section 32 IEA). Section 33 IEA: Evidence given by a witness in a judicial proceeding or before any person authorized by law to take it, is relevant for the purpose of proving in a subsequent judicial proceeding or further in the same judicial proceeding. Expert Opinions Expressed in a Treatise According to Section 60 IEA, expert opinions printed in books commonly offered for sale, are generally accepted as evidence on the production of such treatise without oral evidence of the author. Section 291 CrPC: This is accepted as evidence in a higher court when it has been recorded and attested by a magistrate in the presence of the accused who had an opportunity of cross examining the witness.